Vitamin A deficiency is characterized by-
1. Bitot spot
2. Xerophthalmia
3. Night blindness
4. All

Correct answer: 4. All

Explanation: Ans. is 'a' i.e., Bitot spot; 'b' i.e., Xerophthalmia & 'c' i.e., Night blindnesso The most characteristic and specific signs of vitamin A deficiency are eye lesions.o These develop before the age of 2 years.o The term xerophthalmia comprises all the occular manifestations of vitamin A deficiency.Xerophthalmia (Dry eye) o It is a syndrome due to deficiency of vitamin A.o It has following stages1. Night blindness Earliest ocular symptom2. Conjuctival xerosis Earliest ocular sign3. Bitot's spot4. Corneal xerosisKeratomalacia & corneal ulcers